What is the karyotype of a complete mole?
1. 46 XY
2. 46 XX
3. 69 XXX
4. 69 XXY

Correct answer: 2. 46 XX

Explanation: A complete mole is caused by a single (90%) or two (10%) sperm combining with an egg which has lost its DNA. The genotype is typically 46,XX (diploid) due to subsequent mitosis of the fertilizing sperm. In contrast, a partial mole occurs when an egg is fertilized by two sperm or by one sperm which reduplicates itself yielding the genotypes of 69,XXY (triploid) or 92,XXXY (tetraploid). Complete hydatidiform moles have a higher risk of developing into choriocarcinoma -- a malignant tumor of trophoblast cells -- than do partial moles.